Superolateral boundary of axillary dissection is:
1. Clavipectoral fascia
2. Brachial plexus
3. Axillary artery
4. Axillary vein

Correct answer: 4. Axillary vein

Explanation: Axillary Node Clearance Axillary node clearance is defined as clearing of the axillary contents bounded by: Laterally: Axillary skin Posteriorly: Lattisimus dorsi, Teres major and subscapularis Superiorly: Lower border of axillary vein Anteriorly: Pectoralis muscle Medially: Chest wall